In cases of hypercapnia there is
1. Increased pH of blood
2. Decreased pH of blood
3. Remains same
4. Increased oxygen concentration in blood

Correct answer: 2. Decreased pH of blood